Treatment of chronic phase of CML is
1. Imatinib
2. Hydroxyurea
3. Interferon
4. Cytarabine

Correct answer: 1. Imatinib

Explanation: (A) Imatinib # Standard treatment for chronic phase CML is a tyrosine kinase inhibitor (TKI) such as imatinib, Nilotinib, or Dasatinib.> For imatinib, the usual starting dose is 400 mg per day.> If the first drug stops working (or it never really worked well at all) the dose may be increased or the patient may be switched to one of the other TKIs (including Bosutinib/Bosulif).> Ponatanib is an option after all of the other TKIs have been tried or if the leukemia cells later develop the T315I mutation.> Switching to another TKI is also an option if the patient can't take the first drug because of side effects.> Some people in chronic phase may be treated with an allogeneic stem cell transplant (SCT).